A 10 month old child weighing 8kg has Bitot spots in both eyes. Which of the following is the most appropriate schedule to prescribe vitamin A to this child -
1. 2 lakh units intramuscular (IM) on day 0, 14
2. 1 lakh units IM on day 0, 14
3. 2 lakh units IM on day 0, 1 and 14
4. 1 lakh units IM on day 0, 1 and 14

Correct answer: 4. 1 lakh units IM on day 0, 1 and 14

Explanation: Ans. is `d' i.e., I lakh units IM. on day 0, 1 and 14